Laryngocele arises as a heriniation of laryngeal mucosa
through the following membrane:
1. Thyrohyoid
2. Cricothyroid
3. Crico-tracheal
4. Cricosternal

Correct answer: 1. Thyrohyoid